Azoles are drug of choice for all except -
1. Chromomycosis
2. Histoplasmosis
3. Paracoccidioidomycosis
4. Cryptococcal meningitis

Correct answer: 4. Cryptococcal meningitis

Explanation: Ans. is 'd' i.e., Cryptococcal meningitis o Amphotericin B & oral itraconazole are the first line drugs for most of the systemic mycosis.o For cryptococcal meningitis, treatment of choice is AMB + 5-FU.Amnhotericin is the DOC for1. Disseminated candidiasis 3. Disseminated sporotrichosis5. Aspergillosis2. Coccidioidomycosis 4. Cryptococcal meningitis6. MucormycosisNote - Now voriconazole is preferred for invasive aspergillosis.Itraconazole is the DOC for1. ChromomycosisItraconazole or Amphotericin 'B', (any of the two) are the DOC for1. Blastomycosis3. Paracoccidioidomycosis2. Histoplasmosis Note : Itraconazole is an azole.